In X-ray, jejunum has a pattern of:
1. Valvulae connivantes
2. Taenia coli
3. Reverse 3 sign
4. None of the above

Correct answer: 1. Valvulae connivantes

Explanation: Ans. Valvulae connivantes